Beta naphthyl-amines is associated with cancer of:
1. Bladder
2. Oral
3. Liver
4. none of the above

Correct answer: 1. Bladder

Explanation: Bladder cancer is known to be associated with aniline industry. Chemicals mentioned as bladder carcinogens are benzidine, auramine, magenta, beta naphthylamines and para amino diphenyl. Ref: Park 21st edition, page: 748.